Dural hemorrhage seen in
1. Brain
2. Kidney
3. Heart
4. Lung

Correct answer: 1. Brain

Explanation: *dural hemorrhage occur due to rupture of cerebral veins in the dural space . An intracranial hematoma is a collection of blood within the skull, most commonly caused by rupture of a blood vessel within the brain or from trauma such as a car accident or fall. The blood collection can be within the brain ptissue or underneath the skull, pressing on the brain. Ref Harrison20th edition pg 2456